Superior pancreaticoduodenal artery is a branch of
1. Hepatic artery
2. Splenic artery
3. Gastroduodenal artery
4. Inferior mesenteric artery

Correct answer: 3. Gastroduodenal artery

Explanation: The superior pancreaticoduodenal artery is an artery that supplies blood to the duodenum and pancreas. It is a branch of the gastroduodenal artery, which most commonly arises from the common hepatic artery of the celiac trunk, although there are numerous variations of the origin of the gastroduodenal artery. The pancreaticoduodenal artery divides into two branches as it descends, an anterior and posterior branch